Meconium ileus is associated with -
1. Fibrocystic disease of pancreas
2. Liver aplasia
3. Cirrhosis of liver
4. Malnutrition

Correct answer: 1. Fibrocystic disease of pancreas

Explanation: Meconium ileus  is a neonatal manifestation of cystic fibrosis (also k/a fibrocystic ds. of pancreas)
In cystic fibrosis there is pancreatic enzyme deficiency and abnormal chloride secretion in the intestine that results in the production of viscous water-poor meconium.
Meconium ileus results because of impaction of this thick meconium in the ileum.
Meconium ileus presents shortly after birth with progressive abdominal distention and failure to pass meconium with intermittent bilious vomiting.


Abdominal x-ray shows

dilated loops of small intestine.
air-fluid levels do not form in spite of complete small intestinal obstruction, because the enteric contents are viscous and thick.
small bubbles of gas become entrapped in the inspissated meconium in the distal ileum, where they produce a characteristic 'ground glass' appearance on radiograph.
In complicated meconium ileus in which perforation has occurred, intraperitoneal egg-shell calcifications are noted.